Uncommon in children -
1. Ewing's sarcoma
2. Neuroblastoma
3. Osteosarcoma
4. None of above

Correct answer: 4. None of above

Explanation: Ans. is 'd' i.e., None of the above o Osteosarcoma is the most common primary' malignant bone tumor in children and adolescent, followed by Ewing sarocoma.o In children less than 10 year, Ewing Sarcoma is more common than osteosarcoma.o NeuroblastomaEmbryonal cancer of peripheral sympathetic nervous system.Third most common pediatric cancer account for about 8% of childhood malignancy.NB is most commonly diagnosed neoplasm in infant account for 28-39% of neonatal malignancy.90% of case diagnosed at age of 5 year.